The enzyme system which continuously reduces ferric form of iron in the blood to the ferrous form is
1. Methemoglobin reductase
2. Chymotrypsin
3. Amylase
4. Dehydrogenase

Correct answer: 1. Methemoglobin reductase